Largest commissural fibers are seen in -
1. Anterior commissure
2. Posterior commissure
3. Hebnular commissure
4. Corpus callosum

Correct answer: 4. Corpus callosum

Explanation: Ans. is 'd' i.e., Corpus callosum "Corpus callosum is largest cerebral commissure " -Textbook of Neuroanatomy